Renal blood flow contributes to what % of the cardiac output?
1. 15%
2. 25%
3. 45%
4. 50%

Correct answer: 2. 25%

Explanation: In a resting adult, the kidneys receive 1.2 to 1.3 L of blood per minute or just under 25% of the cardiac outputRef: Ganong's Review of Medical Physiology, 23rd edition, page no: 643